Larvae of which of the following resides in the muscle?
1. Trichenella
2. Asaris
3. Hook worm
4. Pin worm

Correct answer: 1. Trichenella

Explanation: Infection of Trichinella is initiated by ingestion of viable larvae in raw or undercooked meat. Digestive action liberates the larvae. The liberated larvae develop into adults in the duodenum and jejunum, where they mate and bear offspring. The adult worms are expelled in the stool. The newborn larvae penetrate the intestinal wall, enter the lymphatic system, and move the bloodstream to areas of implantation. The newborn larvae have been implicated in cardiac and neurologic trichinosis. The life cycle is completed with the larvae invading a striated muscle cell.